All of the following statements about acute adrenal insufficiency are true, EXCEPT:
1. Hyperglycemia is usually present
2. Acute adrenal insufficiency usually is secondary to exogenous glucocorticoid administration
3. Acute adrenal insufficiency presents with weakness, vomiting, fever, and hypotension
4. Hyponatremia occurs because of impaired renal tubule sodium resorption

Correct answer: 1. Hyperglycemia is usually present

Explanation: Adrenal insufficiency is associated with decreased levels of glucocorticoids, mineralocorticoids and androgens. Normally cortisol is involved in hepatic glycogen synthesis, gluconeogenesis and release of glucose into the circulation. So in adrenal insufficiency, deficiency of cortisol results in hypoglycemia. Adrenal insufficiency can be primary (resulting from adrenal disease), or secondary (due to a deficiency of ACTH). Primary adrenal insufficiency can be caused by autoimmune disease, infections, and metastatic deposits. Most common cause of secondary adrenal insufficiency is therapy with exogenous glucocorticoids. Ref: Schwartz's Principles of Surgery, 9th Edition, Chapter 38; Modern Nutrition In Health And Disease By Maurice Edward Shils, 10th Edition, Page 646; Davidson's Principles and Practice of Medicine, 21st Edition, Page 775, Box: 20.45